All of the following factors are associated with a substantially greater risk of developing epilepsy after febrile seizures, except:
1. Complex Febrile seizures
2. Early age of onset
3. Developmental abnormalities
4. Positive family History of Epilepsy

Correct answer: 2. Early age of onset

Explanation: Factors increasing risk of epilepsy after febrile seizures include family history of epilepsy, a typical seizures/complex nature of seizures and presence of a neurodevelopmental abnormality. Early age on onset increases the risk of recurrence of febrile convulsions. Ref: Febrile Seizures By Tallie Z. Baram, Shlomo Shinnar, Page 63; Essential of Pediatrics By O P Ghai, 6th Edition, Page 509